Not intravenous Anasthetic agent
1. Ketamine
2. Thiopantone
3. Etomidate
4. Cyclopropane

Correct answer: 4. Cyclopropane

Explanation: D i.e. Cyclopropane